Cytochrome 450 is located in -
1. Mitochondria
2. Cytoplasm
3. Endoplasmic reticulum
4. Golgi apparatus

Correct answer: 3. Endoplasmic reticulum

Explanation: Ans. is 'c' i.e., Endoplasmic reticulumo The drug metabolizing enzymes are divided into two types :1. Microsomal# These are located on smooth endoplasmic reticulum primarily in liver, also in kidney, intestinal mucosa and lungs.# Examples are monooxygenase, cytochrome P450, glucronyl transferase.# They catalyze most of the oxidation, reduction, hydrolysis and glucuronide conjugation.# They are inducible by drugs, diet and other agencies.2. Non microsomal# These are present in the cytoplasm and mitochondria of hepatic cells as well as in other tissues including plasma.# Examples are flavoprotein oxidase, esterases, amidases and conjugases.# They catalyze some oxidation and reduction, many hydrolysis and all conjugation except glucuronidation.# They are not inducible but many show genetic polymorphism (acetyl transferase, pseudocholinesterase).